Boerhaave syndrome is due to:
1. Burns
2. Vomiting
3. Stress
4. Acid ingestion

Correct answer: 2. Vomiting

Explanation: Ans. (b) vomitingRef Bailey and Love 27th edition, Page 1073* Vomiting against closed Glottis leads to Boerhaave syndrome.* Vomiting against closed LES leads to Mallory Weiss tear.